A new born with meningomyelocele has been posted for surgery. The defect should be immediately covered with:-
1. Normal saline guaze
2. Povidone iodine guaze
3. Tincture benzoin guaze
4. Methylene blue guaze

Correct answer: 1. Normal saline guaze

Explanation: Meningomyelocele should be covered with a non-sticking sterile saline soaked guaze and plastic shield wrap to maintain moisture.